Which of the following agents is likely to cause cerebral calcification and hydrocephalus in a newborn whose mother has history of taking spiramycin but was not complaint with therapy ?
1. Rubella
2. Toxoplasmosis
3. CMV
4. Herpes

Correct answer: 2. Toxoplasmosis

Explanation: Ans. is 'b' i.e., Toxoplasmosis o This question is straight forward; spiramycin is in pregnancy is given for toxoplasmosis. Prenatally acquired T.gondii may infect the brain and retina of the fetus and can cause chorioretinitis, intracerebral calcifications, and hydrocephalus. o Cerebral calcification and hydrocephalus may also occur with congenital CMV and HSV infection, but spiramycin is not given for these infections. Feature Toxoplasmosis CAW HSV Rubella Hydrocephalus -H- +/? (Rare) Microcephaly ++ -H? Intracranial ++ +\\? Calcification (Common) (Common) (Uncommon) (Rare)